All of the following causes excessive bleeding during tooth extraction except:
1. Haemophilia - A
2. Haemophilia - B
3. Anti thrombin — III deficiency
4. Von-willebrand disease

Correct answer: 3. Anti thrombin — III deficiency